Forschheimer spots are seen on
1. Uvula
2. Trunk
3. Dorsal aspect of hand
4. Penis

Correct answer: 1. Uvula

Explanation: Forscheimer spots are pin - head sized petechiae seen on soft palate and uvula, seen in Rubella.